Groove sign is seen in –
1. Donovanosis
2. LGV
3. Chancroid
4. Genital herpes

Correct answer: 2. LGV

Explanation: Groove sign of Greenblatt' is pathognomonic of LGV → when inguinal lymph nodes are enlarged, they are separated by Poupart's ligment, producing a groove.